Most common pulmonary tumor in children is ___________
1. Carcinoid
2. Small cell carcinoma
3. Adeno carcinoma
4. Squamous cell carcinoma

Correct answer: 1. Carcinoid

Explanation: Cancer of the lung occurs most often between the ages 40-70.Only 2% of the whole cases appear before 40 years. Carcinoid tumour represent 1%-5%of all lung tumors.Most patients with this tumor are younger than 40 years of age and the incidence is equal for both sexes.Clinical features include persistant cough, hemoptysis,impairment of drainage of respiratory passages with secondary infections,bronchiectasis,emphysema. Ref : ROBBINS AND COTRAN PATHOLOGIC BASIS OF DISEASES,PG NO:763,7 th edition